Fructokinase is necessary for:
1. Fructose-1-PO4
2. Ructose 1,6 diphosp hate
3. Fructose 6 phosphate
4. Glyceraldehyde

Correct answer: 1. Fructose-1-PO4

Explanation: A i.e. Fructose -1- PO4